One of the following is not a compulsive and habit forming disorder:
1. Kleptomania
2. Pyromania
3. Nymphomania
4. Pathological gambling

Correct answer: 3. Nymphomania

Explanation: Nymphomania is the condition of excessive sexual desire in females. It is not an impulse control disorder. Pathological gambling is also impulse control disorder in which person has impulse to gamble ( in DSM 5 this has been added along with substance use disorder as addictive disorder).